Which of the following is NOT the feature of secondary ACTH deficiency?
1. Hypotension
2. Fatigue
3. Hyperpigmentation
4. Anorexia

Correct answer: 3. Hyperpigmentation

Explanation: Clinical feature of secondary ACTH deficiency: Mineralocorticoid secretion is intact. Manifests more insidiously with lack of skin hyperpigmentation. Hypotension is seen with gluco-corticoid deficiency because of loss of control of inhibition of vasopressin. Fatigue, hyponatremia, and hypoglycaemia is also seen